A person has an injury in the forefinger with glass and it is suspected that he has a retained piece of glass in his finger. Which is the first investigation you will do?
1. Plane radiograph
2. Ultrasound
3. CT scan
4. MRI

Correct answer: 1. Plane radiograph

Explanation: All glass, regardless of type or lead content, is radiopaque and should be visible on a properly exposed and positioned radiograph. Hence the answer would be Plain radiograph